Earliest tumour to appear after birth is?
1. Sternomastoid tumour
2. Cystic hygroma
3. Branchial cyst
4. Lymphoma

Correct answer: 2. Cystic hygroma

Explanation: Ans. is 'b' i.e., Cystic hygroma